In case of LPL deficiency, which of the following will increase after a fat rich diet?
1. Chylomicron
2. HDL
3. Lipoprotein (a)
4. LDL

Correct answer: 1. Chylomicron

Explanation: Lipoprotein Lipase deficiency causes Familial Hyperchylomicronemia or Type I Hyperlipoproteinemia. This enzyme breaks the TGs of Chylomicrons into Fatty Acids and Glycerol. Chylomicrons move throughout the body in blood and they are acted upon by enzyme Lipoprotein Lipase. Hence In LPL deficiency, chylomicrons and TG will rise in plasma. Extra Reading: Hyperlipoproeinemia Type Increased plasma lipoproteins Increased plasma lipid (most) Probable metabolic defect I Chylomicrons Triacyglycerols Deficiency of lipoprotein lipase IIa LDL Cholesterol Deficiency of LDL receptors IIb LDL and VLDL Triacylglycerols and cholesterol Overproductionn of apo-B III IDL Triacylglycerols and cholesterol Abnormality in apo-E IV VLDL Triacylglycerols Overproduction of TG V Chylomicrons and VLDL Triacylglycerols -